In anesthetizing lower anteriors all of the following are indicated except
1. Fischer 123 technique
2. Classical inferior alveolar block
3. Mental nerve block
4. Incisive block

Correct answer: 3. Mental nerve block